A child, Ramu has swallowed the contents of 2 bottles of a nasal decongestant whose primary ingredient is α adrenoceptor agonist drug. The signs of α activation that may occur in this patient include:
1. Tachycardia
2. Dilatation of pupil
3. Vasodilation
4. All of the above

Correct answer: 2. Dilatation of pupil